Inter Parietal suture is:-
1. Serrate
2. Denticulate
3. Squamous
4. Plane

Correct answer: 1. Serrate

Explanation: Types of sutures are as follows:- 1) Serrate Suture:- The edges of bones present saw toothed appearance e.g. sagittal suture between two parietal bones. 2) Denticulate suture:-The margins present teeth with tips being broader than the roots e.g. lambdoid suture. 3) Squamous suture:- Here the edges of bones are united by overlapping e.g. suture between the parietal bone and squamous part of temporal bone. 4) Plane suture:- The borders are plane and joined by sutural ligaments e.g. suture between palatine bones of two maxilla. Note: Schindylesis:-Ridged bone fits into the groove present on a neighboring bone e.g. Vomerosphenoid suture